Given three genera of mosquitoes (('ulex, Anopheles and Aedes) act as vectors for which of the following diseases world w ide -
1. Malaria
2. Dengue
3. Filariasis
4. Yellow Fever

Correct answer: 3. Filariasis

Explanation: Ans. is 'c' i.e., Filariasis o Filariasis is transmitted by all four genera of mosquitoes including Anopheles, Aedes, Culex and Mansonoides.